EDSS criteria is used for
1. Multiple sclerosis
2. MND
3. Parkinson's disease
4. None

Correct answer: 1. Multiple sclerosis

Explanation: (A) Multiple sclerosis # KURTZKE EXPANDED DISABILITY STATUS SCORE (EDSS)0.0 Normal neurologic exam 1.0 No disability, minimal signs in one FS (i.e., grade 1)1.5 No disability, minimal signs in more than one FS (more than one grade 1)2.0 Minimal disability in one FS (one FS grade 2, others 0 or 1) 2.5 Minimal disability in two FS (two FS grade 2, others 0 or 1)3.0 Moderate disability in one FS (one FS grade 3, others 0 or 1) or mild disability in three or four FS (three/four FS grade 2 others 0 or 1) though fully ambulatory3.5 Fully ambulatory but with moderate disability in one FS (one grade 3) and one or two FS grade 2; or two FS grade 3; or five FS grade 2(others 0 or 1)4.0 Ambulatory without aid or rest for 500 m4.5 Ambulatory without aid or rest for 300 m5.0 Ambulatory without aid or rest for 200 m 5.5 Ambulatory without aid or rest for 100 m